'Vagitus uterinus' is:
1. An infection of vagina
2. An infection of uterus
3. A cry of unborn baby from uterus
4. Infection of both vagina and uterus

Correct answer: 3. A cry of unborn baby from uterus

Explanation: C i.e. A Cry of unborn baby from uterus - Vagitus is the first cry of unborn childQ from uterus (V. uterinus) or vagina (V. vaginalis). - Foetus is viable (& capable of independent existence) after 210 days (7 months)Q. The average length (crown-heel length) of full term child is 48-52 cms.